Endometrial carcinoma: which of the following tumor suppressor gene occur -
1. P53
2. Rb
3. PTEN
4. APC

Correct answer: 3. PTEN

Explanation: Harshmohan textbook of pathology 7th edition. endometrial hypreplasia is a forerunner of endometrioid cancer is supported by mutated PTEN gene located on chromosome no 10. Seen in 20% of cases of complex hyperplasia while it is seen in 40 to 80% of cases of endometriosis carcinoma. .